In CSF examination, albuminocytologic dissociation occurs in cases of:
1. TB meningitis
2. Motor neuron disease
3. Guillain-Barre syndrome
4. Demyelinating disorder

Correct answer: 3. Guillain-Barre syndrome

Explanation: c. Guillain-Barre Syndrome(Ref: Nelson's 20/e p 3010-3013, Ghai 8/e p 590)Albuminocytologic dissociation occurs in cases of Guillain-Barre SyndromeQ